Laryngofissure is
1. Opening the larynx in midline
2. Removal of arytenoids
3. Making window in thyroid cartilage
4. Removal of epiglottis

Correct answer: 1. Opening the larynx in midline

Explanation: Laryngofissure Opening the larynx in midline. Ref:- Stedman Dictionary; pg num:- 937